Hypothyroidism in infancy is characterized by all EXCEPT
1. Constipation
2. Coarse facies
3. Wide open cranial sutures
4. Hyperthermia

Correct answer: 4. Hyperthermia

Explanation: D. i.e. (Hyperthermia) (481 - Ghai 7th) (483 - Ghai 6th)CONGENITAL HYPOTHYROIDS* Earliest sign - patent posterior fontanel and wide open cranial sutures* Skin is dry, thick, and coarse, cool and mottled* Abdomen is large, umbilical hernia* Lethargic and less active,* They sleep most of the time, cry little, feed poorly and often get choking spells during feeding* Nasal obstruction, noisy breathing and apnea* Physiological jaundice of these newborn infants persists due to delayed maturation of the glucuronide conjugation* Constipated**, Hypothermia By the age of 8 to 10 weeks* Course facies - puffy face, swollen eyelid, widly sparated eyes, narrow palpebral fissures, broad nose with depressed bridge* Open mouth with broad thick protuberant tongue* Neck is short and thick and supraclavicular pad of fat may be present* Voice is hoarse , skin appears pale* Hair is sparse, course and brittle* The muscles are flaccid and markedly hypotonic* Marked physical and intellectual disability* Social smiles delayed, short stature* **Fontanel is widely open*** Dentition and skeletal maturation are also delayed* The deep tendon reflexes show delayed relaxation *** Refractory anemia is present* Pulse is slow and cardiomegaly and heart murmur